Which of the waxes are derived from the lignite:
1. Paraffin wax
2. Inlay wax
3. Microcrystalline wax
4. Montan wax

Correct answer: 4. Montan wax